The intricately and prodigiously looped system of veins and arteries that lie on the surface of the epididymis is known as :
1. Choroid plexus
2. Tuberal plexus
3. Pampiniform plexus
4. Pectiniform septum

Correct answer: 3. Pampiniform plexus

Explanation: Pectiniform septum- The testicular veins join to form intricately & prodigiously looped venous nentwork, the pampiniform plexus, consisting of 8-12 veins lying anterior to ductus deferens & lying on the surface of epididymis and surrounding the testicular artery in the spermatic core. It is the part of thermoregulatory system of the testisBoth testicular vein originate in pempiniform plexus; left testicular vein drains into left renal vein & right testicular vein drain into inferior vena cave.